Diplococcus pneumoniae shows the following characters except
1. Capsule
2. Bile solubility test positive
3. Causes Meningitis
4. Not pathogenic to mice

Correct answer: 4. Not pathogenic to mice

Explanation: Streptococcus pneumoniae is capsulated and bile soluble. It can cause infections like meningitis, pneumonia etc. Experimentally, a fatal infection can be produced in mice or rabbits by intraperitoneal inoculation of Streptococcus pneumoniae. Death occurs in 1-3 days and Streptococcus pneumoniae can be demonstrated in large numbers in the peritoneal exudate and heart blood. Reference: Textbook of Microbiology; Anathanarayan and panicker's; 10th edition; Page no: 226